Which of the following causes rib-notching on the chest radiography?
1. Bidirectional Clem shunt
2. Modified Blalock-Taussing shunt
3. IVC occlusion
4. Coarctation of aorta

Correct answer: 4. Coarctation of aorta

Explanation: Ans. Coarctation of aorta